Segregation of proteins is a function of:
1. Golgi apparatus
2. Mitochondrial
3. Both
4. None

Correct answer: 1. Golgi apparatus

Explanation: Golgi apparatus is associated with: Segregation of proteins and post translation modification Ref:Guyton and Hall textbook of medical physiology 12th edition,page number:9,10